Deficiency of lysosomal maltase causes?
1. McArdle's disease
2. Andersen disease
3. Cori disease
4. Pompe disease

Correct answer: 4. Pompe disease

Explanation: Ans. D. Pompe diseasea. In McArdle's disease, there is deficiency of muscle phosphorylase.b. Branching enzyme is deficient in Andersen disease.c. Debranching enzyme is deficient in Cori disease.